Treatment of a neonate with vaginal bleeding is?
1. Wait and watch
2. Estrogen
3. Progesterone
4. Cryoprecipitate

Correct answer: 1. Wait and watch

Explanation: ANSWER: (A) Wait and watchREF: Shaw 13th ed p. 48 See previous question"The vaginal bleeding in a neonate is physiological due to presence of maternal hormones and hence it subsides after sometime"